Normal serum uric acid levels in males is
1. 3.1 - 7 mg/dl
2. 2.5-5.6 mg/dl
3. 1.2-3.3 mg/dl
4. 1.8-4.4 mg/dl

Correct answer: 1. 3.1 - 7 mg/dl

Explanation: serum uric acid male 3.1-7.0 mg/dL female 2.5-5.6 mg/dL Ref: RAM DAS NAYAK EXAM PREPARATORY MANUAL FOR UNDERGRADUATES 2nd ed. pg no: 784